The average fatal period of copper poisoning is -
1. 30-60 minutes
2. 1-3 days
3. 3-7 days
4. 7-14 days

Correct answer: 2. 1-3 days

Explanation: Fatal period with copper salts is 1-3 days.